The pin diameter of Minim (inch/mm) is:
1. 0.019/0.48
2. 0.024/0.61
3. 0.015/0.38
4. 0.027/0.78

Correct answer: 2. 0.024/0.61